Endolymph in the inner ear -
1. Is a filterate of blood serum
2. Is secreted by Stria vascularis
3. Is secreted by Basilar membrane
4. Is secreted by Hair cells

Correct answer: 2. Is secreted by Stria vascularis

Explanation: There are 2 main fluids in the inner ear.